Transplacental crossing is not seen in -
1. Iso immune haemolytic anemia
2. Rh-haemolytic anemia
3. Toxoplasmosis
4. Toxic erythema

Correct answer: 4. Toxic erythema

Explanation: Ans. is 'd' i.e., Toxic erythma o Toxic erythma is a normal finding in newborn. o In Rh incompatibility and ABO incompatibility antibodies can cross placenta and cause erythroblastosis fetalis. o Toxoplasmosis can cross placenta.